A 2-week-old female infant has a head circumference of 40 cm (>98%), with a large, tense fontanelle and downward deviation of the eyes. She has been vomiting her formula and she is irritable. Common cause of her symptoms include all EXCEPT:
1. Intraventricular hemorrhage
2. Brain tumor
3. Meningitis
4. Aqueductal stenosis

Correct answer: 2. Brain tumor

Explanation: Ans. B. Brain tumorThe common causes of hydrocephalus in neonates are intraventricular (subarachnoid) hemorrhage, infection; and congenital malformations (e.g., aqueductal stenosis, Arnold-Chiari malformation). Brain tumors rarely occur in the first year of life, and if present at this age, they are most likely to be supratentorial. When hydrocephalus occurs in infants and is associated with signs of raised intracranial pressure (especially without fever), vomiting, and irritability, an infratentorial brain tumor must be suspected.